Superantigen causes-
1. Polyclonal activation of T-cells
2. Stimulation of B cells
3. Enhancement of phagocytosis
4. Activation of complement

Correct answer: 1. Polyclonal activation of T-cells

Explanation: 1.Superantigensare a class of molecules that can interact with APCs and T lymphocytes in a nonspecific way(attach to TCR by the side not in tne centre) . The superantigens act differently by interacting with MHC class II molecules of the APC and the Vb domain of the T-lymphocyte receptor. This interaction results in the polyclonal activation of a larger number of T cells (10%) than conventional antigens (1%), leading to massive cytokine expression and immunomodulation. fig:-Mechanism of action of superantigen 2. Examples: Staphylococcal toxin: TSST, Exfoliative toxin, Enterotoxins, Streptococcal toxin: Streptococcal pyrogenic exotoxin (SPE)-A Viral: EBV, CMV, Rabies nucleocapsid, HIV encoded nef (negative regulatory factor) Fungal superantigen: Malassezia furfur